Local vasoconstriction is seen with:
1. Cocaine
2. Lignocaine
3. Bupivacaine
4. Mepivacaine

Correct answer: 1. Cocaine

Explanation: Cocaine is sympathomimetic and thus causes vasoconstriction. Cocaine is a local anesthetic with potential for abuse. It produces euphoria by inhibiting the uptake of catecholamines in the CNS, especially dopamine. Because of its abuse potential, cocaine is listed as a schedule II controlled substance by the U.S. Drug Enforcement Agency. Because of its abuse liability and high toxicity, cocaine use is limited to topical anesthesia of the upper respiratory tract. It is available as 1%, 4% and 10% solutions for topical use. It has intrinsic vasoconstrictor properties along with local anesthetic properties.